Toll like receptors are seen on?
1. Macrophages
2. Natural killer cells
3. Endothelial cells
4. All of the above

Correct answer: 4. All of the above

Explanation: Answer-D. All of the aboveThe Toll-like receptors are rnembrane proteins that recognize avariety of microbe-derived molecules and stimulate innate immune responses against the microbes.The Toll-like receptors are expressed on many different cell types that participate in innate immune responses including ,macrophages, dendritic cells, neutrophils, NKs cells, mucosal epithelial cells and endothelial cells.